Which of the following is the best stains for fungus?
1. Mucicarmine
2. Methenamine silver
3. Alcian blue
4. Hematoxylin and eosin

Correct answer: 2. Methenamine silver